EDTA C is?
1. EDTA plus cetavlon
2. EDTGA plus cetrimide
3. EDTA plus ciprofloxacin
4. EDTA texapon

Correct answer: 1. EDTA plus cetavlon